Indication for fundoplication?
1. GERD
2. Gastric volvulus
3. Diaphragmatic eventration
4. Bockdelec's hernia

Correct answer: 1. GERD

Explanation: Ans. is 'a' i.e., GERD o Fundoplication is indicated in patients of GERD in following conditions-Patients with evidence of severe esophageal injury (ulcer/stricture/barrett's).No response''relapse/incomplete resolution on medical therapy.Patients with long duration of symptoms.Patients with persistant symptoms at a young age.